An adult presents with oval scaly hypopigmented macule over the chest and the back. The diagnosis is
1. Pityriasis versicolor
2. Leprosy
3. Lupus vulgaris
4. Lichen Planus

Correct answer: 1. Pityriasis versicolor

Explanation: Both Pityriasis versicolor and Pityriasis Alba causes scaly hypopigmented macules but the lesions of Pityriasis alba occurs on cheek & face and common age of presentation is young children.
In Pityriasis versicolor → Lesions occur mostly on chest and Trunks. (Lower limb & hand usually not involved).
Commonly occurs in young adults. In indeterminate leprosy → lesions are not scaly.
They are hypopigmented anaesthetic patches. In lichen planus → the lesions are hyperpigmented